First histological sign of ovulation is
1. Vacuoles at apical portion of secretory nonciliated cells.
2. Cessation of glandular cell mitosis.
3. Absent glycoprotein in secretory non ciliated cells.
4. Subnuclear vacuoles and pseudostratification in basal portion of glandular epithelium.

Correct answer: 4. Subnuclear vacuoles and pseudostratification in basal portion of glandular epithelium.

Explanation: After ovulation, glycogen accumulates in basal portion of glandular epithelium creating subnuclear vacuoles and pseudostratification.